In X- ray Bulging fissures in lungs is seen in which of the following infection:
1. Klebsiella pneumonia
2. Staph pneumonia
3. Pulmonary oedema
4. Pneumococcus

Correct answer: 1. Klebsiella pneumonia

Explanation: Ans. A. Klebsiella pneumoniaBulging fissure sign. PA (A) and lateral (B) radiographs of the chest show dense consolidation of the right middle lobe secondary to Klebsiella pneumoniae. Although classically the bulging fissure sign is demonstrated with right upper lobe consolidation and bowing of the minor fissure postero interiorly, the consolidated segment in this case is causing upward bowing of the minor fissure (arrows).